The development of resistance to conventional treatment has led WHO to recommend the use of combination therapies containing artemisinin derivative (artemisinin-based combination therapies also known as ACTs). All of the following combination therapies are recommended if such resistance is suspected, except
1. Artemether plus lumefantrine
2. Artesunate plus quinine
3. Artesunate plus pyrimethamine-sulfadoxine
4. Artesunate plus mefloquine

Correct answer: 2. Artesunate plus quinine

Explanation: The WHO recommended ACTs include:

Artemether-lumefantrine
Artesunate-amodiaquine
Artesunate-mefloquine
Artesunate-sulfadoxine-pyrimethamine
Dihydroartemisinin-piperaquine